Risk of vertical transmission of HIV without intervention without and breastfeeding is:
1. 15 to 30%
2. 5 to 10%
3. 10 to 15%
4. 2 to 5%

Correct answer: 1. 15 to 30%

Explanation: Vertical transmisssion is mother to child transmission of HIV.It varies between 15-25%% in non breastfeeding women. Refer page no 303 of Text book of obsteics,sheila balakrishnan,2 nd edition.